The rate-limiting step in the synthesis of cortisol is catalyzed by:
1. 21-Hydroxylase
2. 3b-Hydroxysteroid dehydrogenase
3. Cholesterol side-chain cleavage enzyme
4. 11b-Hydroxylase

Correct answer: 3. Cholesterol side-chain cleavage enzyme

Explanation: Ans. C. Cholesterol side-chain cleavage enzymeThe first and rate-limiting step in all steroid biosynthesis is catalyzed by cholesterol sidechain cleavage enzyme, resulting in pregnenolone and iso caproic acid. 17a-hydroxylase, 3b-hydroxysteroid dehydrogenase, 21-hydroxylase, and 11b- hydroxylase are all involved in the synthesis of cortisol, but are not rate-limiting. 3-Hydroxy-3-methylglutaryl CoA reductase catalyzes the rate-limiting step in de novo cholesterol synthesis.